Glucose can be synthesised from all of the following, EXCEPT:
1. Lactic acid
2. Aminoacid
3. Acetoacetate
4. Glycerol

Correct answer: 3. Acetoacetate

Explanation: Ketone body cannot synthesize glucose because the conversion of acetyl coA to pyruvate is irreversible. Glucose can be synthesised by Lactic acid, glycerol & gluconeogenic amino acid.